Best prognostic indicator for head injured patients:
1. GCS
2. CT findings
3. Age of the patient
4. History

Correct answer: 1. GCS

Explanation: Ans. GCS